Night blood survey is done in ?
1. Filaria
2. Typhoid
3. Malaria
4. Kala-azar

Correct answer: 1. Filaria

Explanation: Ans. is 'a' i.e., Filaria The microfilariae of W. bancrofti and B. malayi occuring in India display a nocturnal periodicity, i.e., they appear in large number at night and retreat from the blood stream during the day. This is a biological adaptation to the nocturnal biting habits of vector mosquitoes. The maximum density of microfilariae in blood is reported between 10 pm and 2am. When the sleeping habits of the host are altered, a reversal in periodicity has been observed